A 60-year-old-man is discharged after being observed in the hospital for 4 days following a myocardial infarction. He returns to his normal activities, which include sedentary work only. This point in time following a myocardial infarct is noteworthy for the special danger of which of the following?
1. Arrhythmia
2. Mural thrombosis
3. Myocardial (pump) failure
4. Myocardial rupture

Correct answer: 4. Myocardial rupture

Explanation: Rupture of the left ventricle, a catastrophic complication of acute myocardial infarction, usually occurs when the necrotic area has the least tensile strength, about 4 to 7 days after an infarction, when repair is just beginning. The anterior wall of the heart is the most frequent site of rupture, usually leading to fatal cardiac tamponade. Internal rupture of the interventricular septum or of a papillary muscle may also occur. The risk of arrhythmia is greatest within the first 6 hours after myocardial infarct. Arrhythmias are the most important early complication of acute myocardial infarction, accounting for almost 50% of deaths shortly after myocardial infarction. Myocardial or pump failure and mural thrombosis are other complications that may develop as a result of permanent damage to the heart after infarct. Ventricular aneurysms may develop in the fibrotic scar within 3-6 months after myocardial infarct.